HDL is called good cholesterol because -
1. Removes cholesterol from extrahepatic tissues
2. Causes transport of cholesterol to extrahepatic tissues
3. Stimulate hepatic TGs synthesis
4. Activates lipoprotein lipase

Correct answer: 1. Removes cholesterol from extrahepatic tissues

Explanation: Ans. is 'a' i.e., Removes cholesterol from extrahepatic tissueso The HDL particles are referred to as scavengers because their primary role is to remove free (unesterified) cholesterol from extrahepatic tissues, which is then excreted through bile. This is crucial mechanism that prevents the inappropriate accumulation of cholesterol in peripheral tissues. Because accumulation of cholesterol in tissues is strongly associated with the development of atherosclerosis, the level of HDL in serum is inversely related to the incidence of MI (myocardialinfarction). Thus, HDL is cardioprotective and anti-atherogenic in nature, and is referred to as "good cholesterol".o Therefore, HDL-Cholesterol appears to be the best independent predictor of coronary artery disease (inverse relationship) than any other known risk factor. That means low HDL is a much stronger predictor of coronary artery disease than increased LDL cholesterol or increased total cholesterol.